Vitamin D analogue calcitriol is useful in the treatment of –
1. Lichen planus
2. Psoriasis
3. Phemphigus
4. Leprosy

Correct answer: 2. Psoriasis

Explanation: Drugs for psoriasis
Topical medications

Vitamin D (calcipotriene)
Cool tar
Corticosteroids
Tree bark extract (dithranol)
Topical retinoids

Systemic  

Psoralens (Methoxsalen, trioxsalen)                     
Methotrexate                                                      
Acitretin                                                             
Etanercept                                                          
Cyclosporine                                                       
Alefacept
Tacrolimus
6-Thioguanine
Hydroxyurea
Tacrolimus
Adalimumab

Photo therapy

PUVA (oral psoralen plus UV-A)
Narrow - band UV-B (NB-UVB)